A high amylase level in pleural fluid suggests a diagnosis of
1. Tuberculosis
2. Malignancy
3. Rheumatoid arthritis
4. Pulmonary infarction

Correct answer: 2. Malignancy

Explanation: Answer is B (Malignancy): Malignancy is associated with high levels of amylase in pleural fluid High amylase level in pleural fluid suggests Esophageal rupturedeg Pancreatic pleural effusiondeg (Pancreatitis/Pancreaticpseudo cyst) Malignancydeg (Adenocarcinoma of lung/pancreas)